Feature of metabolic syndrome is-
1. Hypoinsulinemia
2. High HDL cholesterol
3. Hyperinsulinemia
4. Type 1 diabets mellitus

Correct answer: 3. Hyperinsulinemia

Explanation: Ref -medscape.com